Swan neck deformity is seen in ?
1. Osteoarthritis
2. Rheumatoid arthritis
3. Psoriatic arthritis
4. Gout

Correct answer: 2. Rheumatoid arthritis

Explanation: Ans. is b' i.e., Rheumatoid arthritis Important deformities of hand in RA Boutonniere deformity : Flexion contracture of PIP joint and extension of DIP joint. Swan neck deformit: Hyperextension of PIP joint and flexion at DIP joint. Z-deformity : Radial deviation of wrist with ulnar deviation of fingers. Hyperextension of 1st interphalangeal joint and flexion of MP joint.